Pituitary adenomas are regarded as macroadenomas when their size is
1. > 1 cm
2. > 1.5 cm
3. > 2 cm
4. > 2.5 cm

Correct answer: 1. > 1 cm

Explanation: Pituitary adenomas are usually found in adults the peak incidence is from 35 to 60 years of age. They are descibed as microadenomas if they are less than 1cm in diameter and as macro if they exceed 1cm.